"Lead time" is,
1. Time between disease onset and first possible point of diagnosis
2. Time between first possible point of diagnosis and usual time of diagnosis
3. Time between disease onset and final critical diagnosis
4. Time between disease onset and usual time of diagnosis

Correct answer: 2. Time between first possible point of diagnosis and usual time of diagnosis